Despite their short half-lives (2 hours), Proton pump Inhibitors (PPIs) cause a prolonged suppression of acid secretion (up to 48 hours) because:
1. They are prodrugs and undergo activation gradually
2. They exit from the plasma and enter acid secretory canaliculi and stay there, blocking the secretion of acid for a long time
3. They irreversibly inhibit the proton pump molecule and hence, acid secretion requires synthesis of new proton pumps
4. They are available as enteric coated capsules, from which drug is gradually released

Correct answer: 3. They irreversibly inhibit the proton pump molecule and hence, acid secretion requires synthesis of new proton pumps

Explanation: Ans. c. They irreversibly inhibit the proton pump molecule and hence, acid secretion requires synthesis of new proton pumps Inhibition of acid secretion is also more prolonged because of the irreversible inhibition of the enzyme caused by the covalent bond to the proton pump.